Commonest type of lung carcinoma in nonsmokers is -
1. Squamous cell carcinoma
2. Adenocarcinoma
3. Alveolar cell carcinoma
4. Small cell carcinoma

Correct answer: 2. Adenocarcinoma